Congenital hydrocephalus treatment -
1. V-P shunt
2. Acetazolamide
3. Glycerine
4. Frusemide

Correct answer: 1. V-P shunt

Explanation: Ans. is 'a' i.e., V-P shunt Congenital hydrocephaluso Starts in fetal life and may manifest or even develop sub sequentially,o Causes -Intrauterine infections - TORCHIC bleedIVHCongenital malformation -Aqueductal stenosis (MQDandy walker cystArnold chiary malfomationMidline tumorTreatmento Depends upon primary cause, course and severely.o Usually mild, non progessine require medical mx like - acetazolamide and glycerin,o Large, progressive - require surgeryo Sx. include shunt operation (VP shunt, VA shunt),o Endoscopic third ventriculatomy is another option.